False about clinical trials phases of drug
1. Healthy volunteers are taken in Phase I
2. Efficacy can be calculated in Phase II
3. Maximum drug failure occurs in phase III
4. Post marketting surveillance is done in phase IV

Correct answer: 3. Maximum drug failure occurs in phase III

Explanation: Maximum drug failure occurs in Phase II.